Mucus strings in urine are suggestive of :
1. Urethritis
2. Cystitis
3. Prostatitis
4. Pyelonephritis

Correct answer: 3. Prostatitis

Explanation: Acute prostatitis is a bacterial infection in the prostate gland, most commonly by urinary pathogens. Patients present with fevers, dysuria, and perineal or back discomfort. Chronic prostatitis presents with continued lower urinary tract symptoms and pelvic pain. The urinalysis may be normal. There may be a clear white urethral discharge.Expressed prostatic secretions may contain numerous leukocytes (> 10 per high-power field) in clumps as well as macrophages. Cultures of urine are usually sterile, but cultures of expressed prostatic secretions and urine obtained after prostatic massage are usually positive in bacterial prostatitis. Mucus strands are often seen in cases with prostatitis. Ref :Cooper C.S., Joudi F.N., Williams R.D. (2010). Chapter 38. Urology. In G.M. Dohey (Ed), CURRENT Diagnosis & Treatment: Surgery, 13e.